Splenectomy predispose to which infection
1. Capsulated bacterial infection
2. Amoeba
3. Bacteroides
4. Viral infections

Correct answer: 1. Capsulated bacterial infection

Explanation: Ans. (a) Capsulated bacterial infectionRef Bailey and Love 26th edition Page 1096Opportunistic Post Splenectomy Infections (OPSI)* Post splenectomy septicemia may result from Streptococcus pneumonia, Neisseria meningitis, H. Influenza and Escherichia Coli.* Viral infection* Risk of OPSI is greatest in:# Young patients# Treated with Chemo RT# Diseases like Thalassemia's, Sickle cell disease, Auto immune hemolytic anemia and Thrombocytopenia# Risk is highest in the first 2-3 years.Overwhelming post splenectomy sepsis with Capnocytophaga canimorus can occur from dog, cat or animal bites.